A 21 year old college student presents with hot potato voice and trismus. Throat examination was done. Clinical Diagnosis is?
1. Quinsy
2. Epiglottitis
3. Infectious mononucleosis
4. Chronic Tonsillitis

Correct answer: 1. Quinsy

Explanation: Ans. (a) QuinsyThe image shows a deviated uvula indicating a Peri-tonsillar abscess and clinical history of hot potato voice confirms the diagnosis of quinsy